All of the following are true for mitral valve prolapse, except-
1. Transmission may be as an autosomal dominant trait
2. Majority of the cusc present with features of mitral regurgitation
3. The valve leaflets characteristically show myxomatous degeneration
4. The disease is one of the common cardiovascular manifestations of Marfan's Syndrome

Correct answer: 2. Majority of the cusc present with features of mitral regurgitation

Explanation: MVP, also variously termed the systolic click-murmur syndrome, Barlow's syndrome, floppy-valve syndrome, and billowing mitral leaflet syndrome Excessive or redundant mitral leaflet tissue, which is commonly associated with myxomatous degeneration and greatly increased concentrations of certain glycosaminoglycans. There is an increased familial incidence for some patients, suggesting an autosomal dominant form of inheritance with incomplete penetrance. (Harrison's Principles of internal medicine, 18 th edition, page 1937 )